Which of the following drugs are SSRI ?
1. Citalopram
2. Fluoxetine
3. Sertraline
4. All of these

Correct answer: 4. All of these